Non professional antigen presenting cell is A/E –
1. Red blood cells
2. Endothelial cell
3. Epidermal cell
4. Fibroblasts

Correct answer: 1. Red blood cells

Explanation: Non-professional antigen presenting cell
o A non-professional APC does not constitutively express the Major Histocompatibility Complex class II
(MHC class II) proteins required for interaction with naive T cells; these are expressed only upon
Stimulation of the non- professional APC by certain cytokines such as IFN-γ.
 All nucleated cells express the Major Histocompatibility Complex class I necessary to be considered a
Non- professional APC.
 As erythrocytes do not have a nucleus, they are one of the few cells in the body that cannot display
Antigens.